Short chain fatty acids are absorbed by:
1. Emulsification
2. Micelle formation
3. Direct diffusion
4. Chylomicron formation

Correct answer: 3. Direct diffusion

Explanation: Most of the dietary triglycerides are split by pancreatic lipase into FFAs and 2-monoglycerides which are absorbed passively by direct diffusion. Short chain fatty acids are water-soluble and can be absorbed directly into portal blood. Long chain fatty acids are not water-soluble; they are absorbed into intestinal lymphatics in the form of chylomicrons.